In pregnant women of 28 weeks gestation IUD is earliest demonstrated on X-ray by:
1. Increased flexion
2. Overlapping of cranial bone
3. Spalding's sign
4. Gas in vessels

Correct answer: 4. Gas in vessels

Explanation: Gas in the great vessels of fetus is called as Roberts sign It occurs 12 hrs interval after death. Ref: Datta Obs 9e pg 303.